Which is true of closed dental camp?
1. Preselected area like school for camp
2. Serving large number of people in community
3. Resent close dental camp
4. No such term

Correct answer: 1. Preselected area like school for camp